Aromatic amino acid is -
1. Serine
2. Histidine
3. Leucine
4. Tryptophan

Correct answer: 4. Tryptophan

Explanation: Ans. is 'd' i.e., Tryptophan o Aromatic amino acids - Phenylalanine, tryptophan, tyrosine.